Mycoplasma infection simulates?
1. Pneumococcal pneumonia
2. Viral pneumonia
3. Hypersensitivity pneumonia
4. Aspiration pneumonia

Correct answer: 2. Viral pneumonia

Explanation: Ans. is 'b' i.e., Viral pneumonia